Ranitidine differs from cimetidine because of?
1. Ranitidine does not have anti androgenic side effect
2. Shorter half life
3. More side effects
4. Less potent

Correct answer: 1. Ranitidine does not have anti androgenic side effect

Explanation: Ans. is 'a' i.e., Ranitidine does not have antiandrogenic side effect